The main bulk of dentin is formed by
1. Peritubular dentin
2. Mantle dentin
3. Inter tubular dentin
4. Predentin

Correct answer: 3. Inter tubular dentin